True about uterus are all except:
1. Normally the uterus is retroverted
2. Angle of anteflexion is 125 degree
3. Long axis of uterus corresponds to the axis of pelvic inlet
4. Posterior surface is related to the sigmoid colon

Correct answer: 1. Normally the uterus is retroverted

Explanation: Normally the long axis of the uterus is bent forward on the long axis of the vagina. This position is referred to as anteversion of the uterus.The long axis of the body of the uterus is bent forward at the level of the internal os with the long axis of the cervix. This position is termed anteflexion of the uterus.Thus, in the erect position and with the bladder empty, the uterus lies in an almost horizontal plane.If the fundus and body of the uterus are bent backward on the vagina so that they lie in the rectouterine pouch (pouch of Douglas), the uterus is said to be retroverted.If the body of the uterus is, in addition, bent backward on the cervix, it is said to be retroflexed.